Power of chief judicial magistrate is imprisonment upto -
1. 7 Years
2. 5 years
3. 3 years
4. Death sentence

Correct answer: 1. 7 Years

Explanation: Chief Judicial Magistrate: Imprisonment up to 7 years and unlimited fine. REF: The Synopsis of Forensic Medicine and Toxicology 29th edition page no: 4.